An elderly male presented with longstanding progressive increase in nose size with hardened. On clinical examination it was thought to be end stage of chronic acne rosacea. Your diagnosis is
1. Rhinosporidiosis
2. Rhinophyma
3. Atrophic rhinitis
4. Strawberry nose

Correct answer: 2. Rhinophyma